Which of the following statement are true regarding pathogenesis of bronchitis?
1. Initiating factor is exposure to noxious stimuli or tobacco
2. Hypersecretion of mucus in large airways
3. Inflammatory infiltrate
4. All of the above

Correct answer: 4. All of the above

Explanation: Chronic Bronchitis The primary or initiating factor is exposure to noxious or irritating inhaled substances such as tobacco smoke (90% of patients are smokers) and dust from grain, cotton, and silica. Earliest feature is hypersecretion of mucus in the large airways, associated with hypertrophy of the submucosal glands in the trachea and bronchi. Inhalants that induce chronic bronchitis cause cellular damage, eliciting both acute and chronic inflammatory responses